Which of the following is primary prevention
1. Screening test
2. Early diagnosis
3. Use of mosquito net
4. Restoration of lost function

Correct answer: 3. Use of mosquito net

Explanation: Ans. is 'c' i.e., Use of mosquito net